A 30-year-old woman presents with scattered scalp lesions that she has had for the past several months and that are causing hair loss. The lesions have hyperpigmented and depigmented areas with follicular plugging and atrophy. Which of the following is the best treatment for this patient?
1. Griseofulvin
2. Ketoconazole cream
3. Ketoconazole shampoo
4. Topical steroids

Correct answer: 4. Topical steroids

Explanation: The patient has discoid lupus erythematosus, which presents with hyperpigmented and de pigmented atrophic patches with follicular plugging. Most patients with discoid lupus erythematosus have lesions on the head and neck. The most common treatments include topical steroids and injections of steroids into the lesions. If there are multiple lesions, hydroxychloroquine may be considered for treatment. Griseofulvin is used in the treatment of tinea capitis. Tinea capitis rarely occurs in adults.